Common side effects of Dapsone is
1. Hemolytic anaemia
2. Thrombocytopenia
3. Cyanosis
4. Bone marrow depressive

Correct answer: 1. Hemolytic anaemia

Explanation: Hemolysis develops in almost every individual treated with 200-300 my Dapsone pe day. Doses of Les than 100 my in healthy persons and less than 50mg per day in persons with G6PD deficiency do not causes Hemolysis b Refer Goodman Gilman 12/e p 1564